Most common tumor of urinary bladder is ?
1. Sq. cell carcinoma
2. Adeno carcinoma
3. Transitional carcinoma
4. Str. squamous carcinoma

Correct answer: 3. Transitional carcinoma

Explanation: Answer is 'c' i.e. Transitional cell carcinoma There are 3 common histological types of bladder cancer a) Transitional (urothelial) cell ca -- 90% b) Squamous cell ca -- 5-10% c) Adenocarcinoma -- 2%